A 8 year old child has localized non cicatrial alopecia over scalp with itching and scales. The diagnosis is :
1. Tinea Barbae
2. Alopecia areata
3. Tinea Capitis
4. Lichen planus

Correct answer: 3. Tinea Capitis

Explanation: C i.e. Tinea Captis